Not a hepatotoxic drug -
1. Allopurinol
2. Streptomycin
3. Sulfonamide
4. None

Correct answer: 2. Streptomycin

Explanation: Ans. is 'b' i.e., Streptomycin o Streptomycin and ethambutol are first line antitubercular drugs without hepatotoxicity.